MELD score includes?
1. Serum creatinine
2. Transaminase
3. Albumin
4. Alkaline phosphatase

Correct answer: 1. Serum creatinine

Explanation: Model for End stage liver disease (MELD): Done to calculate the requirement of liver transplantation in case of Fulminant hepatic failure. If MELD sore > 14 Orthoptic liver Treatment Bilirubin INR Severe creatinine Child Pugh classification: Cirrhosis grading (helpful to know if shunt surgery required or not) NAZERS index: Used to determine the severity of damage and need for treatment of liver is WILSON'S disease.